Retention in a stainless steel crown is achieved primarily by:
1. Chamfer
2. Cement
3. Parallel distal and mesial walls
4. Crimping the crown to engage buccal & lingual undercuts

Correct answer: 4. Crimping the crown to engage buccal & lingual undercuts